Spinal part of accessory nerve supplies
1. Platysma
2. Sternocleidomastoid
3. Stylohyoid
4. Diagastric

Correct answer: 2. Sternocleidomastoid

Explanation: Sternocleidomastoid and trapezius are supplied by spinal accessory nerve. Both of them develop from brachial arch mesoderm.It is tested by turning the neck against resistance.B D Chaurasia 7th edition Page no: 65 ( refer head and neck volume )